A patient presented with trismus and opisthotonus. The probable causative organism is
1. C. tetani
2. C. botulinum
3. C. difficle
4. C. perfringens

Correct answer: 1. C. tetani

Explanation: Clostridiumtetani:General characteristicsCultural characteristicsStrict anaerobe gram positive bacilliStately motilitySpherical terminal sporesDrum stick appearanceSwarming growth Blood agar - a hemolysis - b hemolysis Virulence factors Clinical featuresTetanospasmin , Tetanolysin Generalized tetanus Risus sardonicus, Opisthotonus, Respiratory muscle spasmTrismus - first signNeonatal tetanus - 8th-day diseaseDiagnosisTreatmentDirect culture of unheated material on blood agar incubated anaerobically DOC - Penicillin or MetronidazoleAlternative - Clindamycin or Erythromycin Mainstay of treatment - AntitoxinProphylaxisPreventionActive immunization - Antitoxin>0.01 IU/ml serumPassive immunization - Human tetanus Immunoglobulin7 cleans - Clean hand, Clean surface, Clean cord blade, Clean cord tie, Clean cord stump, Clean towel, Clean water(Ref: Ananthanarayan 9th edition, p260-262)